Drug avoided in patient with non-ketotic hyperglycemia with seizure is -
1. Carbamazepine
2. Valporate
3. Phenytoin
4. Clobazam

Correct answer: 3. Phenytoin